In humans and other primates, as well as in guinea pigs, this vitamin cannot be synthesized, because of the absence of the enzyme L-gulonolactone oxidase; the vitamin is:
1. Pantothenic acid
2. Nicotinic acid
3. Ascorbic acid
4. Folic acid

Correct answer: 3. Ascorbic acid